Significant extrahepatic metabolism is shown by
1. Prilocaine
2. Lignocaine
3. Bupivacaine
4. Ropivacaine

Correct answer: 1. Prilocaine

Explanation: Prilocaine other than hepatic metabolism is also metabolized significantly in lungs.